Which is associated with shotgun alone -
1. Gun powder
2. Primer
3. Projectile
4. Wads

Correct answer: 4. Wads

Explanation: Wads are present only in the cartridge of a shot gun.